Fall on heel with fracture os calcis is associated with commonly:
1. Fracture clavicle
2. Fracture vertebra
3. Fracture femur
4. Posterior dislocation of hip

Correct answer: 2. Fracture vertebra

Explanation: B i.e. Fracture vertebrae Calcaneum is the most commonly fractrued tarsal bone and in most cases the mode of injury is fell front height over 20% of these patients suffer associated injury of spine (most common)Q, pelvis or hip and base of skull Most commonly associated injury of vertebral bodies (-12%), makes clinical & radiological examination of lumbo dorsal spine necessary in patients of calcaneum fractureQ Fracture calcaneum is most often is associated with other injuries (- 20%) - Compression fracture of dorso - lumbar vertebraeQ (-10%) - Fracture pelvis (pubic rami) and hip - Fracture base of skull (atlanto -axial injury) - Fracture talus - Vertical compression fracture of lower end tibia